Newly formed PDL fibers are aligned perpendicular to resected root surface after:
1. 1 week
2. 2 week
3. 4 week
4. 8 week

Correct answer: 4. 8 week